Which of the following is also known as the labourer's nerve?
1. Ulnar nerve
2. Median nerve
3. Anterior interosseous nerve
4. Radial nerve

Correct answer: 2. Median nerve

Explanation: Median nerve- Labourer’s nerve- involved in coarse movements of hands.
Ulnar nerve- Musician nerve- involved in fine movements of hands.